Unilateral proptosis with bilateral VI
th
 nerve palsy,diagnosis is -
1. Grave's disease
2. Retinoblastoma
3. Pseudotumour of orbit
4. Cavernous sinus thrombosis

Correct answer: 4. Cavernous sinus thrombosis

Explanation: Unilateral proptosis and bilateral 6th nerve polsy suggest the diagnosis of CST.
Bilateral 6th nerve palsy suggests the involvement of opposite side cavernous sinus. In more than 50% of the patients of CST opposite side is involved. 6th nerve is earliest to be involvement.